Radiotherapy is most useful in which of the following:
1. Choriocarcinoma
2. Osteosarcoma
3. Seminomas
4. Renal cell carcinoma

Correct answer: 3. Seminomas

Explanation: Ans. C: Seminomas Radiotherapy may be effective alone, or may require the addition of cytotoxic chemotherapy as in the more advanced stages of a Wilm's tumour and Hodgkin's disease. Radiosensitive tumor includes: Malignant lymphomas Seminomas Medulloblastoma Neuroblastoma Wilm's tumour Early cervical carcinoma Vaginal carcinoma Most head and neck tumours Radioresistant tumours are those that do not respond to radiotherapy. This group includes: Osteosarcoma Fibrosarcoma Liposarcoma Myosarcoma Malignant melanoma Large bowel adenocarcinomas Gliomas